Which of the following organism causes Gastrointestinal enteritis necroticans?
1. Clostridium difficle
2. Clostridium perfringens
3. Clostridium botulinum
4. Campylobacter jejuni

Correct answer: 2. Clostridium perfringens

Explanation: Gastrointestinal enteritis necroticans is caused by Clostridium perfringens. Option 1 - Clostridium difficile is the agent of 'pseudomembranous colitis' which occurs almost exclusively in association with prolonged antimicrobial use. Option 2 Necrotizing enteritis caused by Cl. perfringens type C. Characterized by abdominal pain, bloody diarrhea, shock, and peritonitis. Severe and often fatal. Also known as "Pigbel" in Papua New Guinea and as "Darmbrand" (meaning "fire bowels") in Germany. Option 3 - Clostridium botulinum produces botulinum toxin and causes botulism. Option 4 - Campylobacter- cause both diarrheal (C.jejuni) and systemic diseases (C.fetus).